All are true regarding lupus anticoagulant except -
1. Thrombocytosis
2. Increased abortions
3. Rashes
4. Arterial thrombosis

Correct answer: 1. Thrombocytosis